Large Intracytoplasmic glycogen storage is seen in which of malignancy
1. Ostersarcoma
2. Mesenchymal chondrosarcoma
3. Ewing's sarcoma
4. Leiomyosarcoma

Correct answer: 3. Ewing's sarcoma

Explanation: Ewing sarcoma arises in the medullary cavity and invades the cortex and periosteum to produce a soft white tumor mass. It is composed of sheets of uniform small round cells that are slightly larger than lyphocytes. The cells have scant glycogen rich cytoplasm. Robbins basic pathology 9th edition page no 780,Heading =Miscellaneous bone tumors, morphologybox